The walls of the orbit which are removed in the two wall decompression for proptosis of thyroid ophthalmopathy include part of:
1. Orbital floor and medial wall
2. Orbital floor and lateral wall
3. Orbital roof and medial wall
4. Medial and lateral walls

Correct answer: 1. Orbital floor and medial wall

Explanation: Ans. Orbital floor and medial wall